DNA to mRNA is called as
1. Transcription
2. Translation
3. DNA replication
4. None

Correct answer: 1. Transcription

Explanation: According to central dogma of molecular biology, information available in the DNA is passed to messenger RNA which is then used for the synthesis of particular protein. This is called transcription. During transcription, the message from DNA is copied in the language of nucleotides (4 letter language )Ref: DM Vasudevan - Textbook of Biochemistry for Medical Students, 7th edition, page no: 588